A patient came to the casualty with acute bronchial asthma after treatment of glaucoma. The probable drug is:
1. Timolol
2. Betaxolol
3. Latanoprost
4. Anticholiriesterase

Correct answer: 1. Timolol

Explanation: Ref:KD Tripathi pharmacology 7th edition (page.no: 145,152) KDT 6/e p139 Timolol is a nonselective b blocker (act on b1& b2 ). b2 blocking effect of Timolol cause blockage of dilator b2 receptors. so it precipitates asthma. Other drugs used for glaucoma are- Betaxolol, a agonist ; Apraclonidine,Brimonidine PG analogue ; Latanoprost ,Bimatoprost, Carbonic anhydrase inhibitors ; acetazolamide ,Dorzolamide, Miotics; Pilocarpine